"Citron bodies" boat or leaf shaped pleomorphic organism in an exudate is-
1. Cl. welchii
2. Cl. edematiens
3. Cl. septicum
4. Cl. tetani

Correct answer: 3. Cl. septicum

Explanation: Ans. is 'c' i.e., Clostridium septicum "Citron bodies and boat or leaf shaped pleomorphic bacilli with irregular staining suggest CL septicum". Laboratory diagnosis of gas gangrene . The diagnosis of gas gangrene must be made primarily on clinical grounds and the function of the laboratory is only to provide confirmation of clinical diagnosis as well as identification and enumeration of the infecting organisms. . Specimens - tissue in the necrotic area - tissue from the muscles at the edge of the affected area. - exudate from the active site of infection. . Smear - gram positive rods in Gram-stained smears suggests gas gangrene clostridia, spores are not regularly present. . Culture - Robertson's cooked meat broth is used. - In litmus milk 'stormy fermentation' is produced due to fermentation of lactose. . Blood cultures are often positive, especially in Cl. perfringens and Cl. septicum infection. Treatment and prophylaxis of gas gangrene Surgical debridment is the most important prophylactic and therapeutic measure in gas gangrene. Antibiotics --> Penicillin plus clindamycin --> In penicillin allergic : - Chloramphenicol - Imipenem - Metronidazole - Doxycyclin